Which one of the following drugs exacerbate reflux esophagitis?
1. Cisapride
2. Chlorpropamide
3. Theophylline
4. Metoclopramide

Correct answer: 3. Theophylline